Contraindication of laparoscopic cholecystectomy is:
1. Coagulopathy
2. Obstructive pulmonary disease
3. End stage liver disease
4. All of the above

Correct answer: 4. All of the above

Explanation: Contraindications to Laparoscopic Cholecystectomy Absolute Relative Unable to tolerate general anesthesia Refractory coagulopathy Suspicion of carcinoma Previous upper abdominal surgery Diffuse peritonitis Cirrhosis or portal hypertension Chronic obstructive pulmonary disease Cholecystenteric fistula Morbid obesity Pregnancy